Limulus amoebocyte lysate assay is used for the detection of
1. Exotoxin
2. Endotoxin
3. Preformed toxin
4. None

Correct answer: 2. Endotoxin

Explanation: Limulus amebocyte lysate (LAL) is an aqueous extract of blood cells (amoebocytes) from the Atlantic horseshoe crab, Limulus polyphemus. LAL reacts with bacterial endotoxin lipopolysaccharide (LPS), which is a membrane component of gram-negative bacteria.LAL test is widely used for the detection and quantification of bacterial endotoxins. Ref: Ananthanaryanan 9th ed pg 78